Unlike other GI secretions, salivary secretion is controlled almost exclusively by the nervous system and is significantly inhibited by
1. Atropine
2. Pilocarpine
3. Cime dine
4. Aspirin

Correct answer: 1. Atropine